‘3 by 5 Initiative’ was launched in developing countries to combat
1. HIV/ AIDS
2. Malaria
3. SARS
4. Tuberculosis

Correct answer: 1. HIV/ AIDS

Explanation: 3 BY 5 INITIATIVE: Launched by WHO and UNAIDS on 1st Dec 2003
– Target: To provide antiretroviral treatment (ART) to 3 million people living with HIV/AIDS (PLHA) in developing countries by end of 2005